As a result of a viral infection, a patient has swelling of the left facial nerve within the facial canal. His face appears asymmetrical, and he C/O that saliva drips from his mouth while he is chewing. Paralysis of which of the following muscles accounts for these symptoms?
1. Buccinator
2. Masseter
3. Palatoglossus
4. Palatopharyngeus

Correct answer: 1. Buccinator